All of the following are the components of Cushing triad except:-
1. Bradycardia
2. Hypertension
3. Pupillary dilatation
4. Respiratory irregularity

Correct answer: 3. Pupillary dilatation

Explanation: Cushing's triad is the classic presentation of raised intracranial pressure which consists Hypertension Bradycardia Irregular Respirations